Central organ in apoptosis -
1. Mitochondria
2. Nucleus
3. ER
4. Golgi body

Correct answer: 1. Mitochondria

Explanation: Ans. is 'a' i.e., Mitochondria